Drug NOT given in organophosphorous poisoning:
1. Atropine
2. Pralidoxime
3. Activated charcoal
4. Physostigmine

Correct answer: 4. Physostigmine

Explanation: Ans. D i.e. Physostigmine Organophosphate poisoning It results from exposure to organophosphates (OPs), which cause the inhibition of acetylcholinesterase (AChE), leading to the accumulation of acetylcholine (ACh) in the body. The effects of organophosphate poisoning on muscarinic receptors are recalled using the mnemonic SLUDGEM: (Salivation, Lacrimation, Urination, Defecation, Gastrointestinal motility, Emesis, miosis) An additional mnemonic is MUDDLES: miosis, urination, diarrhea, diaphoresis, lacrimation, excitation, and salivation. Pyridostigmine is a parasympathomimetic and a reversible cholinesterase inhibitor.